A 24-year-old woman presents with abdominal pain, joint discomfort, and lower limb rash. She was well until 1 week before presentation. On examination, she has a palpable purpuric rash on her legs, nonspecific abdominal discomfort, and no active joints. She has 3+ proteinuria, normal WBC, no eosinophils, and elevated creatinine of 1.6 mg/dL. Biopsy of the rash confirms vasculitis with immunoglobulin A (IgA) 3+and C3 (complement 3) deposition on immunofluorescence.For the above patient with vasculitis syndrome, select the most likely diagnosis.
1. polyarteritis nodosa (PAN)
2. Churg-Strauss disease
3. Henoch-Schonlein purpura
4. vasculitis associated with infectious diseases

Correct answer: 3. Henoch-Schonlein purpura

Explanation: Henoch-Schonlein purpura, characterized by palpable purpura, arthralgias, GI symptoms, and glomerulonephritis, can be seen in any age-group but is most common in children. It can resolve and recur several times over a period of weeks or months and can resolve spontaneously.